Erythema multiformae is:
1. An acute self Limiting disease, of skin and oral mucous membrane
2. Painless vesicular self limiting disease
3. A viral disease
4. Bacterial infection

Correct answer: 1. An acute self Limiting disease, of skin and oral mucous membrane